CD 15+/CD30+ lymphoma among the following are?
1. Mixed cellularity Hodgkin lymphoma
2. Mantle cell lymphoma
3. Diffuse T- cell lymphoma
4. NLPHL

Correct answer: 1. Mixed cellularity Hodgkin lymphoma

Explanation: Ans. (a) Mixed cellularity Hodgkin lymphoma(Ref: Robbins 9th/pg 606-611; 8th/pg 616-621)In Mixed cellularity type, which is a Classical Variety of Hodgkin lymphoma, CD15+/CD30+